Anterior fontanelle closes by what age?
1. At term
2. 1 month
3. 18 months
4. 28 months

Correct answer: 3. 18 months

Explanation: Ans. is 'c' i.e., 18 months * Closure of anterior fontanel - 1[?]5 years (between 1 to 2 years).* Closure of posterior fontanel - 2-4 months.